HOME is:
1. Aversive technique
2. Remodeling
3. Psychologic improvement
4. None of the above

Correct answer: 1. Aversive technique

Explanation: S. Tandon-2 /153
Aversive conditioning – Child who displays a negative behaviour and does not respond to moderate behaviour modification technique falls into the category of Frankel’s definitive negative behaviour. Aversive conditioning can be a safe and effective method of managing extremely negative behaviour. Those dentists who contemplate using it should obtain parental consent prior to its use (Patricia P Hagan, 1984).
Two common methods used in the clinical practice are HOME and Physical Restraint.